Most common organ involved in congenital Tb is?
1. Liver
2. Pancreas
3. Kidney
4. Lung

Correct answer: 1. Liver

Explanation: Ans. is 'a' i.e., Liver Congenital tuberculosis Although it is rare as mother having tuberculosis primarily present with infertility. Tuberculous bacilli sometimes pass throgh umblical vein and may develop focus in liver (hepatic complex). When neonate aspirate amniotic fluid containing bacilli then develop GI tuberculosis or lung infection. Neonate usually present as respiratory distress, hepatosplenomegaly lymphadenopathy. Overall liver is most commonly involved in congenital tuberculosis